Liver granulation may be associated with all of the following except:
1. Candida
2. Halothane
3. Sarcoidosis
4. Hepatic metastasis

Correct answer: 4. Hepatic metastasis

Explanation: The most common causes of hepatic granuloma are tuberculosis, sarcoidosis, drug reactions and primary biliary cirrhosis. Hepatic granuloma can be caused by a number of other causes such as: Systemic Diseases Infections Drugs ? Idiopathic ? Berylliosis ? Sarcoidosis ? Crohn's Disease ? Primary Biliary Cirrhosis ? Wegner's Granulomatosis ? Hodgkin's and Non-Hodgkin's lymphoma ? TB ? MAC ? EBV ? CMV ? Leprosy ? Q fever ? Syphilis ? Brucellosis ? Histoplasmosis ? Isoniazid ? Quinidine ? Halothane ? Allopurinol ? Methyldopa ? Sulfonamides Ref: Tropical Hepato-Gastroenterology By Tandon, Page 355; Liver: A Complete Book on Hepato-Pancreato-Biliary Diseases By Mahtab, Page 97